Retainer less matrix that can be used for all teeth (Retainer less matrix)
1. Tofflemeir
2. Ivory No.1
3. Universal
4. Automatrix

Correct answer: 4. Automatrix